Regimen used in non–Hodgkin's Lymphoma is :
1. CHOP
2. COPP
3. MOPP
4. ABVD

Correct answer: 1. CHOP